Systemic inflammatory response syndrome, false is?
1. Fever
2. Leukocytosis
3. Altered mental status
4. Hypoglycemia

Correct answer: 4. Hypoglycemia

Explanation: Systemic inflammatory response syndrome (SIRS)
o It is an inflammatory state affecting the whole body, frequently a response of the immune system to infection, but not necessarily so.
Adult SIRS Criteria
o When two or more of these criteria are met with or without evidence of infection, patients may be diagnosed with "SIRS.”
1) Body temperature less than 36 °C (96.8 °F) or greater than 38 °C (100.4 °F)
2) Heart rate greater than 90 beats per minute
3) Tachypnea (high respiratory rate), with greater than 20 breaths per minute; or, an arterial partial pressure of carbon dioxide less than 4.3 kPa (32 mmHg)
4) White blood cell count less than 4000 cells/mm 3 (4 x 109 cells/L) or greater than 12,000 cells/mm 3 (12 x 109 cells/L); or the presence of greater than 10% immature neutrophils (band forms). Band forms greater than 3% is called pandemic or a "left-shift."
5) Hyperglycemia (blood glucose >6.66 mmol/L ) in absence of diabetes mellitus
6) Altered mental state In children, the SIRS criteria
1) Heart rate is greater than 2 standard deviations above normal for age in the absence of stimuli such as pain and drug administration, or unexplained persistent elevation for greater than 30 minutes to 4 hours. In infants, also includes heart rate less than the 10th percentile for age in the absence of vagal stimuli, beta-blockers, or congenital heart disease or unexplained persistent depression for greater than 30 minutes.
2) Body temperature obtained orally, rectally, from Foley catheter probe, or from central venous catheter probe less than 36 °C or greater than 38.5 °C. The temperature must be abnormal to qualify as SIRS in pediatric patients.
3) Respiratory rate greater than 2 standard deviations above normal for age or the requirement for mechanical ventilation not related to neuromuscular disease or the administration of anaesthesia.
4) White blood cell count elevated or depressed for age not related to chemotherapy, or greater than 10% bands plus other immature forms.